Study dealing with the effect of drugs on the body is known as:
1. Pharmacokinetics.
2. Pharmacodynamics.
3. Drug kinetics.
4. None.

Correct answer: 2. Pharmacodynamics.